Hypercalcemia is seen in
1. Pancreatic cancer
2. HCC
3. CA stomach
4. CA GB

Correct answer: 2. HCC

Explanation: Paraneoplastic syndromes of HCC Hypercholesterolemia Hypoglycemia Erythrocytosis Hypercalcemia Ref:Sabiston 20th edition Pgno :1458-1463